Organisms involved in pit and fissure caries:
1. Streptococcus mutans.
2. Lactobacillus.
3. Actinomyces.
4. All of the above.

Correct answer: 4. All of the above.

Explanation: Pit & fissure caries in initiated by a wide variety of organisms like S. mutans, Lactobacillus and Actinomyces species as they colonize in these retentive areas. However, only S.mutans (very significantly) & S. salivarius (by chance) have been proved to colonise smooth surfaces.